Quinine induced thrombocytopenia is:
1. Antibody mediated
2. Dose related toxicity
3. Idiosyncratic reaction
4. Inhibits production of platelets

Correct answer: 1. Antibody mediated

Explanation: Quinine - Anti-malarial drug - causes immune mediated thrombocytopenia